Which of the following statements about Delphi Method is TRUE?
1. Method involves formation of a team to undertake and monitor a Delphi on a given subject
2. Selection of one or more panels to participate in the exercise. Customarily, the panelists are experts in the area to be investigated
3. The first round in the Delphi method involves development of a questionnaire
4. All the above are true

Correct answer: 4. All the above are true

Explanation: The Delphi method is an organized method for collecting and organizing data. The team monitors a Delphi on a given subject. Knowledgeable and expertise people are selected to be in the panel to conduct the exercise. The first round in the Delphi exercise is development of a questionnaire. Ref: Research in Health Care By Julius Sim, Chris Wright, 2000, Page 80; Research Methods in Physical Activity By Thomas, Nelson, 2005, Pages 280-81